Diuretic that is useful in mild to moderate hypertension is:
1. Loop diuretics
2. Thiazides
3. Osmotic diuretics
4. Potassium sparing diuretics

Correct answer: 2. Thiazides

Explanation: Ans. (B) Thiazides(Ref: Harrison 19th/e p1623)Thiazides are not only diuretics of choice for mild to moderate hypertension but also the first line antihypertensive drugs in these patients.